The only oncogenic virus whose pathogenicity has been proved without doubt is -
1. HTLV - I
2. HTLV - II
3. HTLV - III
4. HTLV - IV

Correct answer: 1. HTLV - I

Explanation: HTLV1 present world wide.it causes adult T cell leukemia,tropical dpadtic paraparesid.it mainly infect CD4 cells .infected cell express more inter leukin2 REF:
MICROBIOLOGY ANANTHA NARAYANAN NINTH EDITION PAGE.567